Phlyctenular conjunctivitis false is-
1. The most common cause is tuberculosis
2. The lesions are typically found near the limbus
3. Predominantly affects children
4. Is a type IV hypersensitivity reaction

Correct answer: 1. The most common cause is tuberculosis

Explanation: Tuberculous proteins were considered, previously, as the most common cause. Staphylococcus proteins are now thought to account for most of the cases. Age. Peak age group is 3-15 years. Phlyctenular keratoconjunctivitis is believed to be a delayed hypersensitivity (Type IV-cell mediated) response to endogenous microbial proteins. ref: A K KHURANA OPHTALMOLOGY,E4, Page-77